The type of hemoglobin that has least affinity for 1, 3- Diphosphoglycerate (2,3-DPG) or (2, 3-BPG) is
1. Hg A
2. Hg F
3. HB
4. Hg A2

Correct answer: 2. Hg F

Explanation: Fetal hemoglobin has least affinity for 13diphosphoglycerate Ref: guyton and hall textbook of medical physiology 12 edition page number: 312,313,314